Arthritis occur in
1. Alkaptonuria
2. Cystinosis
3. Maple syrup diseases
4. Homocystinuria

Correct answer: 1. Alkaptonuria